Brown tumours are seen in:
1. Hyperparathyroidism
2. Pigmented villonodular synovitis
3. Osteomalacia
4. Neurofihromatosis

Correct answer: 1. Hyperparathyroidism